Not a symptom of angle closure glaucoma –
1. Blurring of vision
2. Coloured Halos
3. Metamorphosia
4. Headache

Correct answer: 3. Metamorphosia

Explanation: Transient blurring of vision and headache is seen in stage of constant instability.
Coloured halos are seen in acute congestive stage.